Which of the following drugs are used for smoking cessation?
1. Bupropion
2. Buspirone
3. Venlafaxine
4. Fluoxetine

Correct answer: 1. Bupropion

Explanation: Ans. (A) Bupropion(Ref: Harrison 16th/e p2575; Katzung 11th/e p521,1110)Drugs used for smoking cessation are:Nicotine (gum, patch, nasal inhaler, oral inhaler)BupropionClonidine (oral, patch)NortriptylineRimonabantVarenicillineAmfebutamoneMecamylamine